Most common cause of small intestine obstruction is?
1. Intussception
2. Idiopathic adhesions
3. Tumors
4. Postoperative adhesions

Correct answer: 4. Postoperative adhesions

Explanation: ANSWER: (D) Postoperative adhesionsREF: Bailey & Love 25th edition page 1188, overview"The most common cause of small-bowel obstruction (SBO) is postsurgical adhesions"